Earliest sign seen in Acoustic neuroma is
1. Facial weakness
2. Unilateral deafness
3. Reduced corneal reflex
4. Cerebellar signs

Correct answer: 3. Reduced corneal reflex

Explanation: The earliest cranial nerve to be involved is the fifth cranial nerve causing reduced corneal sensitivity, numbness, anaesthesia of face. Ref: Textbook of diseases of ENT, PL Dhingra, 7th edition, pg no. 125